Not true about IDSP -
1. TB under regular surviellance
2. HIV under sentinal surveillance
3. Syndromic diagnosis by medical officer
4. Presumptive diagnosis by medical officer

Correct answer: 3. Syndromic diagnosis by medical officer

Explanation: Ans. is 'c' i.e., Syndromic diagnosis by medical officer Integrated disease surveillance project (IDSP)o IDSP is a decentralized state based surveillance system intended to detect early warning signals of impending outbreaks and helps initiate an effective response in a timely manner in urban and rural areas,o It will also provide essential data to monitor progress of on-going disease control programme and help allocate health resources more efficiently,o It is a 5 years project and was launched in November 2004.o The core conditions under surveillance in IDSP are:Regular SurveillanceVector borne disease - MalariaWater borne disease - Acute diarrheal disease (cholera), TyphoidRespiratory' disease - TBVaccine preventable disease - MeaslesDisease under eradication - PolioOther conditions - Road traffic accidentsOther inemational commitments - PlagueUnusual clinical syndromes - Meningoencephalitis, Respiratory distress, hemorrhagic feverSentinel surveillanceSTD/blood borne disease - HIV/HBV, HCV, water quality monitoringOther conditions - Outdoor air quality'Regular periodic surveysNCD risk factors - Anthropometry', Physical activity, BP, tobacco, nutritionAdditional state prioritiesEach state may identify1' up to five additional conditions for surveillance.o These are (above described) are the conditions (diseases) which are under surveillance in IDSP. There are some clinical syndrome under surveillance in IDSP to pick up all priority diseases listed in regular surveillance (above)Fever with or without localizing signs: Malaria, Typhoid, JE, Dengue, MeaslesCough more than 3 weeks: TBAcute fluccidparalysis: PolioDiarrhea: CholeraJaundice: Hepatitis, leptospirosis, Dengue, Malaria, Yellow feverUnusual syndromes: Antrax, plague, emerging epidemics.o The classification of surveillance in IDSP is as follows :Syndromic diagnosis - diagnosis is made on the basis of clinical pattern by paramedical personnel and members of the community'.Presumptive diagnosis - diagnosis made on typical history and clinical examination by medical officer; andConfirmed diagnosis - clinical diagnosis by a medical officer and or positive laboratory identification.